During which of the following prenatal stages, are leukocytes not present in the developing embryo?
1. Hepatic stage
2. Bone marrow stage
3. Mesoblastic stage
4. Splenic stage

Correct answer: 3. Mesoblastic stage

Explanation: Leukocytes are absent during the mesoblastic (yolk-cell) stage, but appear at approximately two months gestation in the liver and somewhat late in the spleen. The bone marrow first participates in hematopoiesis at approximately six months gestation and assumes an increasingly larger role thereafter. The liver and spleen cease to participate in hematopoiesis at about the time of birth, and this task is completely taken up by the red bone marrow. Ref: Kaushansky K. (2010). Chapter 16. Hematopoietic Stem Cells, Progenitors, and Cytokines. In J.T. Prchal, K. Kaushansky, M.A. Lichtman, T.J. Kipps, U. Seligsohn (Eds), Williams Hematology, 8e.